Marked endocapillary proliferation is seen in renal biopsy from -
1. Membranous glomerulonephritis
2. Focal segmental glomerulosclerosis
3. Mesangioproliferative glomerulonephritis
4. Acute poststreptococcal glomerulonephritis

Correct answer: 4. Acute poststreptococcal glomerulonephritis